Which HBV gene codes for HBe Ag?
1. PreC+C
2. S
3. X
4. C

Correct answer: 1. PreC+C

Explanation: Ans. a (Pre C+C) (Ref. Ananthanarayan Microbiology 7th/pg. 552)HBV# It is a partially double-stranded deoxyribonucleic acid (DNA) virus packaged with a core protein (HBcAg) and DNA polymerase, and enclosed by envelope proteins (HBsAg).# Following receptor-mediated entry into hepatocytes, the virus enters the nucleus, where its DNA is frequently integrated into the host genome.Protein synthesis proceeds from four open reading frames:# The envelope proteins - Major, Middle, and Large (HBsAg) from the -S gene, pre-Sl, and pre-S2 gene sequences;# The e antigen (HBeAg) and core protein (HBcAg) from the -C gene and pre-C gene sequence;# The DNA polymerase protein from the -P gene; and# The transactivator X-protein from the -X gene.